Abdominal surgery under LA, patient suddenly felt pain due to
1. Liver
2. Gut
3. Parietal peritoneum
4. Visceralperitoneum

Correct answer: 3. Parietal peritoneum

Explanation: .parts of peritoneum mainly includes 1. Parietal peritoneum: It lines the inner surface of the abdominal wall, under surface of diaphragm and pelvic wall. It is loosely attached to the overlying walls and can be easily stripped off. It is innervated by the somatic nerves, so pain sensitive. Anterior peritoneum is most sensitive when compared to pelvic peritoneum. 2. Visceral peritoneum: It lines the outer surface of the abdominal viscera, firmly adherent, cannot be stripped off. It is innervated by autonomic nervous system; hence not pain sensitive. ref:SRB's manual of surgery,ed 3,pg no 498